Which of the following Psychiatric illness is common in a patient with stroke?
1. Schizophrenia
2. Depression
3. Bipolar disorder
4. Psychosis

Correct answer: 2. Depression

Explanation: Ref: Synopsis of Psychiatry, Kaplan & Sadock, 10th editionExpanation:Organic causes of psychiatric disorders should be ruled out first in any patient.Neurological disorders often present with psychological disturbances leading to misdiagnosis of the underlying problem.Depression is the most common psychiatric disorder in such cases.It may be a part of the disease process or a reaction to the illness/disability or even a side effect of drugs used for underlying diseases.In case of stroke, the mechanism of development of depressive disorder is complex, either part of the disease process per se or the reaction to the disability or both.Other psychiatric conditions due to focal lesions of brain like stroke, tumours are as follows:Anterior/left sided lesions- DepressionPosterior/right-sided lesions-A/amaBasal ganglia lesions- Movement disordersPrefrontal lesions- Psychosis.Any area-Epitepsy & Delirium.Frontal lobe syndromes:1. Dorso-lateral (Pseudo-depressive) - Apathy, Abulia. A volition.2. Orbito-fronlal (Pseudo-maniac) - Emotional lability. Increased sexuality. Disinhibition.3. Medial-frontal - Akinetic mutism. Impulsivity.Psychotic symptoms in organic disorders:Delirium- fleeting delusions & hallucinations.Lewv body dementia- visual hallucinations,Parkinsonism- Depression is often the first symptom. Order of symptoms: Mood- Motor - Memory